Feature (s) of hyperprolactinemia is/are all except:
1. Amenorrhoea
2. Decrease milk production
3. Galactorrhoea
4. Hypogonadotropic hypogonadism

Correct answer: 2. Decrease milk production

Explanation: Ans. B. Decrease milk productionHyperprolactinemia:Due to any cause may result in hypogonadotropic hypogonadism.Hypogonadotropic hyPogonadism often develops in patients with hyperprolactinemia; it may be reversed with treatment of hyperprolactinemia.Women may note oligomenorrhoea or amenorrhoea.Galactorrhoea, defined as Lactation in absence of nursing, is common.Prolactin deficiency inhibits postpartum lactation.Primary hypothyroidism is associated with mild hyperprolactinemia, probably because of compensatory TRH secretion